What is the stage of ovarian Ca with superficial liver metastasis with B/kovarian mass :
1. Stage I
2. Stage II
3. Stage III
4. Stage IV

Correct answer: 3. Stage III

Explanation: Ans. is c i.e. Stage III Superficial liver metastasis is included in Stage Ill. Metastasis to liver parenchyma is included in Stage 1V.